A 23-year-old boy who is known to have sickle cell anemia presents to the emergency department with a painful erection. The patient explains that the erection had started 3 hours ago. This condition is referred to as
1. Balanitis.
2. Hypospadias.
3. Peyronie disease.
4. Priapism.

Correct answer: 4. Priapism.

Explanation: Priapism is an intractable, often painful erection associated with conditions such as sickle cell anemia, hypercoagulable states, spinal injuries, and some drugs. Balanitis is associated with poor hygiene and results from inflammation of the glans penis. Hypospadias is an anatomical anomaly wherein the urethral meatus opens on the ventral side of the penis. Peyronie disease results from subcutaneous fibrosis of the dorsum of the penis. Phimosis is an abnormally tight foreskin that is difficult or impossible to retract over the glans penis.